A patient presented with a hard swelling in this right testis. All are true statements except:
1. Trans scrotal biopsy is needed
2. Inguinal exploration is done
3. High inguinal exploration should be done
4. Scrotal USG is done

Correct answer: 1. Trans scrotal biopsy is needed

Explanation: Ans. (a) Trans scrotal biopsy is needed* Chevassu maneuver biopsy is done inguinal.* Transcrotal biopsy will disseminate the tumor cells to Inguinal nodes